A patient who has undergone pancreatico-duodenectomy for ampullary carcinoma. On 3rd postoperative day, you were instructed to remove Foley's. You dry to deflate and remove the catheter but you can't deflate. Your resident tries and he couldn't remove it either. The next step to remove catheter will be:
1. Ultrasound guided puncture of balloon
2. CT guided puncture of balloon
3. Push in ether till the balloon bursts and then remove the catheter
4. Push in water till the balloon bursts and then remove catheter

Correct answer: 1. Ultrasound guided puncture of balloon

Explanation: Ans. (a) Ultrasound guided puncture of balloonRef: Bailey and Love 27th Edition, Page 1436 Bailey Points: Page 1436:Retained Foley Catheter removal:* Further inflate the Balloon with 20mL water and then burst the balloon percutaneously using a needle under USG guidance* Later cystoscopy must be made to look for fragments getting retained* Cutting off side arm and attempt to clear the channel is only occasionally successful